Scandinavian method is used in treatment of
1. Barbiturate poisoning
2. Alcohol withdrawal syndrome
3. Benzodiazepine poisoning
4. Cocaine abuse

Correct answer: 1. Barbiturate poisoning

Explanation: Scandinavian method is used in treatment of Barbiturate poisoning Anti shock measures, maintenance of patent airway, adequate respiratory support with no CNS stimulants. Fluid replacement therapy used without vasopressors.